Features not seen in Cushing's Syndrome
1. Hypoglycemia
2. Hypertension
3. Frank psychosis
4. Hypokalemia

Correct answer: 1. Hypoglycemia

Explanation: In Cushing's syndrome, hyperglycemia usually occur; hyperglycemia may progress to frank diabetes. Page 1940,Nelson textbook of pediatrics 19th edition